Drug of choice for carriers of diphtheria is
1. Penicillin G
2. Septran
3. Tetracycline
4. Erythromycin

Correct answer: 4. Erythromycin

Explanation: Corynebacterium diphtheriae is sensitive to Penicillin and can be cleared from the throat within a few days by Penicillin treatment. Erythromycin is more active than Penicillin in the treatment of carriers. Reference: Textbook of Microbiology; Anathanarayan and panicker's; 10th edition; Page no: 245